Which of the following statements is true of ketorolac
1. Has potent anti inflammatory activity
2. Its analgesic efficiency is equal to Morphine in postoperative pain
3. It is used as preanesthetic analgesic
4. It interacts with opioid receptor

Correct answer: 2. Its analgesic efficiency is equal to Morphine in postoperative pain

Explanation: Keralac is an NSAID promoted for systemic used mainly as an analgesic not as an anti inflammatory drug (though it has typical NSAIDS properties) the drug does appear to have significant analgesic effeciency and has been used successfully to replace Morphine in some situations involving mild-to-moderate postsurgical pain Refer Kdt 6/e p194